A 50 year old chronic smoker presented with cough, hemoptysis, and unexpained weight loss. CT scan revealed a tumor in the right lung invading the mediastinal pleura. The patient is likely to experience referred pain in which of the following regions?
1. Side of neck
2. Anterolateral thoracic wall
3. Medial part of arm
4. Abdominal wall

Correct answer: 1. Side of neck

Explanation: The pain from the mediastinal pleura is referred to the side of the neck Pleura Innervation Pain referred to Costal and peripheral diaphragmatic pleura Intercostal nerves Thoracic or abdominal wall Mediastinal and central diaphragmatic pleura Phrenic nerve (C3, C4 and C5) Lateral neck region and supraclavicular region Ref: Gray's Anatomy 41st edition Pgno: 956